Most common cause of Neonatal conjunctivitis is
1. Chlamydia
2. Chemical
3. Gonococcus
4. Herpes simplex

Correct answer: 1. Chlamydia

Explanation: Most common cause of Neonatal conjunctivitis is Chlamydia.